False about menkes disease
1. X-linked recessive
2. Intellectual disability
3. Mutation in gene ATP - 7B
4. Kinky hair

Correct answer: 3. Mutation in gene ATP - 7B

Explanation: ATP - 7A → Menkes disease
ATP - 7B → Wilson disease.